Meissner's corpuscle are for
1. Touch
2. Temperature
3. Pressure
4. Proprioception

Correct answer: 1. Touch

Explanation: Meissner's corpuscle is a type of tactile receptor. A touch receptor with great sensitivity is the Meissner's corpuscle, an elongated encapsulated nerve ending of a large (type Ab) myelinated sensory nerve fiber. Inside the capsulation are many branching terminal nerve filaments. These corpuscles are present in the nonhairy parts of the skin and are particularly abundant in the fingertips, lips, and other areas of the skin where one's ability to discern spatial locations of touch sensations is highly developed. Meissner corpuscles adapt in a fraction of a second after they are stimulated, which means that they are particularly sensitive to movement of objects over the surface of the skin, as well as to low-frequency vibration.Ref: Guyton and Hall textbook of medical physiology, 13th edition.